Which of the following is NOT true about carcinoma of liver?
1. AFP increased in 70% of cases
2. Resection possible in few cases only
3. USG guided biopsy is good for diagnosis
4. Aflatoxin and thorotrast are not risk factor

Correct answer: 4. Aflatoxin and thorotrast are not risk factor

Explanation: Thorotrast (colloidal thorium dioxide) is an angiographic medium that was used in 1930s. It emits high levels of long- standing radiation. It has been associated with: Hepatic fibrosis Hepatocellular carcinoma Cholangiosarcoma Angiosarcoma Aflatoxin has been mentioned as the most potent ubiquitous natural chemical carcinogen. It is a product of the Aspergillus fungus, called aflatoxin B1. This mould and aflatoxin products can be found in grains stored in hot, humid places, where peanuts and rice are stored in non refrigerated conditions. Aflatoxin contamination of foodstuffs correlates with incidence rates in Africa and to some extent in China. Option 1 AFP levels > 500 microgram/liter are found in about 70% to 80% of cases. Lower levels may be found in patients with large metastasis from gastric or colonic tumors and in some patients with acute or chronic hepatitis. Option 3 Percutaneous liver biopsy under USG or CT guidance can be diagnostic, but there is a risk of hemorrhage as these tumors are highly vascular. Option 2 Because of multicentricity, bilobar involvement, portal vein invasion, and lymphatic metastasis only 15-20% of hepatocellular carcinoma are resectable. Ref: Sabiston 18/e, Page 1502; Harrison 17/e, Page 582.